The following is a regulatory protein of muscle
1. Actin
2. Myosin
3. Troponin
4. All

Correct answer: 3. Troponin

Explanation: Troponin and tropomyosine are the regulatory proteins of the muscle Ref:Guyton and Hall textbook of medical physiology 12th edition, page number:89